Treatment of choice in ventricular fibrillation is:
1. Sotalol
2. Cardioversion
3. Ibutilide
4. Adenosine

Correct answer: 2. Cardioversion